Laproscopic cholecystectomy is largely preferred for all of the following reasons to conventional laparotmy EXCEPT -
1. Decrease pain
2. Decresed incidence of bile duct injuries
3. Smaller scar
4. Decreased stay in hospital

Correct answer: 2. Decresed incidence of bile duct injuries